Relations of Epiploic foramen are shown. Epiploic foramen Connects?
1. Lesser Omentum with greater omentum
2. Lesser sac with greater sac
3. Lesser omentum with greater sac
4. Lesser sac with greater omentum

Correct answer: 2. Lesser sac with greater sac

Explanation: Lesser sac with greater sac